Hopewood house study is on
1. people eating large amounts of sugar
2. people eating small amounts of sugar
3. people not exposed to sugar
4. people eating moderate amounts of sugar

Correct answer: 2. people eating small amounts of sugar